Which of the following statements about confidence limits/ interval is TRUE?
1. Smaller the confidence level larger will be the confidence interval
2. Less variable the data, wider will be the confidence interval
3. Sample size does not affect the confidence interval
4. 95% confidence interval will cover 2 standard errors around the mean

Correct answer: 4. 95% confidence interval will cover 2 standard errors around the mean

Explanation: The confidence interval is derived from the standard error of the mean. It is used to measure the dispersion of distribution. The confidence interval is often called as percentage confidence. The 95% critical value of confidence limit/interval covers +/- 1.96 (approx 2 S.E.) around the mean. Ref: Choosing and Using Statistics : A Biologist's Guide By Calvin Dytham, Pages 56-57; Introductory Econometrics : A Modern Approach By Jeffrey M. Wooldridge, Pages 138-140; Schaum's Outline of Theory and Problems of Probability and Statistics By Murray R. Spiegel, John J. Schiller, R. Alu Srinivasan, Pages 205-208.